The free edge of which of of the following ligament contains ligamentum teres hepatis?
1. Falciform ligament
2. Coronary ligament
3. Hepatogastric ligament
4. Hepatoduodenal ligament

Correct answer: 1. Falciform ligament

Explanation: Falciform ligament is present between the anterior body wall and liver. In adults, its free edge contains the fibrous remnant of umbilical vein called falciform ligament. Hepatogastric ligament is found between liver and lesser curvature of the stomach. Hepatoduodenal ligament is the free edge of the lesser omentum containing the common bile duct, hepatic artery and portal vein.Coronary ligament is a hepatic ligament which surrounds the base of the liver and diaphragm. The right and left triangular ligaments are part of the coronary ligament.Ref: Anatomy: Embryology, Gross Anatomy, Neuroanatomy, Microanatomy edited by Raymond E. Papka page 43